"Incisura" of the arterial pulse corresponds to:
1. First heart sound
2. Closure of the aortic valve
3. Isovolumetric relaxation
4. Third heart sound

Correct answer: 2. Closure of the aortic valve

Explanation: Incisura is the notch seen in the arterial pulse tracing due to closure of the aortic valve. More peripheral arterial pulsations exhibit an analogous notch called "dicrotic notch". At the end of ventricular systole, there is sudden change in the direction of blood ('protodiastole'), followed by closure of the aortic valve. These events are responsible for the notch, a sudden alteration in the arterial tracing. It is followed by a slowly declining pressure wave, indicating the ventricular diastole.